Following are major criteria of rheumatic fever, except-
1. Chorea
2. Arthritis
3. Carditis
4. Prolonged P-R interval

Correct answer: 4. Prolonged P-R interval

Explanation: Ans. is 'd' i.e., Prolonged P-R interval